Treatment of vernal keratoconjunctivitis includes all except –
1. Steroids
2. Chromoglycate
3. Olopatadine
4. Antibiotics

Correct answer: 4. Antibiotics

Explanation: Treatment of vernal keratoconjunctivitis

Steroids
Mast cell stabilizers as di-sodium-chromoglycate  and olopatadine & idoxamide tromethamine.
Topical antihistaminics, cyclosporine & vasoconstrictor like nephazoline.